For a class V cavity for amalgam:
1. Mesio-distal walls are parallel and occluso-gingival walls converging
2. Mesio-distal walls diverging, occlusogingival walls converging
3. MD walls diverging, OG walls diverging
4. MD walls and OG walls parallel

Correct answer: 3. MD walls diverging, OG walls diverging